Severe pain in eye with loss of vision can be a manifestation of:
1. Acute angle closure glaucoma
2. Open angle glaucoma
3. Vitreous hemorrhage
4. Retinal detachment

Correct answer: 1. Acute angle closure glaucoma

Explanation: Ans. A i.e. Acute angle closure glaucoma